True statement about influenza A is -
1. It has a double stranded segmented RNA
2. Pandemic are caused by antigenic drift
3. Nucelocapsid antibody is not specific
4. Hemagglutinin and Neuraminidase is strain specific

Correct answer: 4. Hemagglutinin and Neuraminidase is strain specific

Explanation: The viral or antigen is composed of at least two coded proteins hemagglutinins and neuraminidase. Both are strain-specific and is capable of great variation. REF:ANANTHANARAYAN AND PANIKER'S TEXTBOOK OF MICROBIOLOGY 9TH EDITION PAGE NO-498